The most predominant type of polio virus during epidemics is
1. Type I
2. Type II
3. Type III
4. Combined infection of II & III

Correct answer: 1. Type I

Explanation: Ans. is 'a' i.e., Type I Poliomyelitis o Poliomyelitis is an acute viral infection caused by poliovirus. o There are three types of polioviruses - Type 1 --> Most common and causes most epidemics Type 2 Type 3 o No serotype - 2 (type -2) poliovirus has been detected anywhere in the world since 1999, type 1 and type 3 have been detected. o Peculiar features of different types of virus - Most common cause of epidemic --> Type 1 Most difficult to eradicate --> Type 1 Vaccine induced paralytic polio --> Type 3 Most commonly associated with paralysis Type 3 Most effective antigen --> Type 2